Which of the following organism is implicated in the causation of botryomycosis -
1. Staphylococcus aureus
2. Staphylococcus albus
3. Pseudomonas aeruginosa
4. Streptococcus pneumoniae

Correct answer: 1. Staphylococcus aureus

Explanation: Staphylococcus aureus can cause mycetoma - like lesion - botryomycosis.